All of the following are seen in Favre-Goldmann syndrome except?
1. Ectopia lentis
2. Retinoschisis
3. Nyctalopia
4. Pigmentary changes similar to retinitis pigmentosa

Correct answer: 1. Ectopia lentis

Explanation: Favre-Goldmann syndrome is an autosomal recessive condition. It usually presents in childhood with nyctalopia. Central and peripheral retinoschisis is present. There is marked pigmentary changes similar to retinitis pigmentosa. Ref: Comprehensive Ophthalmology, A. K. Khurana, 4th edition, p271.